Working length is
1. 0.5 — 1mm short of radiographic apex
2. 1-2 mm short of radiographic apex
3. Exactly at apex
4. 1-2mm apical to apex

Correct answer: 1. 0.5 — 1mm short of radiographic apex